Vital capacity is decreased, timed vital capacity (FEV 1.0 %) is normal in:
1. Bronchial asthma
2. Scoliosis
3. Chronic bronchitis
4. Acute bronchitis

Correct answer: 2. Scoliosis

Explanation: Vital capacity and timed vital capacity (TVC) are reduced greatly in respiratory diseases like Asthma, Emphysema, Pneumonia, etc.
In scoliosis, vital capacity is reduced, but TVC is normal.